Syphilis was first identified by
1. Fraenkel
2. Nicolaescu
3. Schaudinn and Hoffman
4. Ogston

Correct answer: 3. Schaudinn and Hoffman

Explanation: Treponema pallidum is the causative agent of syphilis, was first discovered by Schaudinn and Hoffmann in the chancers and inguinal lymph nodes of syphilitic patients. Ref: Textbook of microbiology; Ananthanarayan and paniker's; 10th edition; Pg: 378